Neural tube defect is an adverse effect of :
1. Valproate
2. Phenytoin
3. Diazoxide
4. None

Correct answer: 1. Valproate